Organism most commonly responsible for denture stomatitis is?
1. Mycobacterium
2. Candida
3. Cryptococcus
4. Mucor

Correct answer: 2. Candida

Explanation: Candida residing on denture fitting or impression surface us primary source of infection for denture stomatitis.